Antagonism between acetylCholine and atropine is?
1. Competitive antagonism
2. physiological antagonism
3. Noncompetitive antagonism
4. None

Correct answer: 1. Competitive antagonism

Explanation: Competitive antagonism (equilibrium type) -The antagonist is chemically similar to the agonist, competes with it and binds to the same site to the exclusion of the agonist molecules. Because the antagonist has affinity but no intrinsic activity no response is produced and the log DRC (dose-response curve) shifted to the right. Eg; Ach- atropine, morphine- naloxone Ref:KD Tripathi pharmacology 7th edition (page.no: 58)